Heart failure cells contain -
1. Hemosiderin
2. Lipofuschin
3. Myoglobin
4. Albumin

Correct answer: 1. Hemosiderin

Explanation: Ans. is `a' i.e., Hemosiderin o Heart failure cells are Hemosiderin laden alveolar macrophages. o Heart failure cells are a manifestation of pulmonary congestion and edema (as seen in heart failure).